Amyl nitrite is used by which route ?
1. Oral
2. Inhalation
3. IV
4. IM

Correct answer: 2. Inhalation